Not a feature of Ulcerative Colitis?
1. Fine mucosal granularity
2. Pseudopolyps
3. String sign of Kantor
4. lead Pipe Appearance

Correct answer: 3. String sign of Kantor

Explanation: * String sign of Kantor is seen in Crohn's Disease CROHN'S DISEASE ULCERATIVE COLITIS Signs seen : 1. Target sign / Halo sign 2. Comb sign 3. Rose thorning sign 4. Creeping fat sign 5. String sign of Kantor Signs seen : 1. Mucosal granularity 2. Lead pipe appearance 3. Collar button sign 4. Loss of haustration